Which of the following lobes of Cerebrum is related to the inferior horn of the lateral ventricle?
1. Frontal
2. Parietal
3. Temporal
4. Occipital

Correct answer: 3. Temporal